A 28 year old male presents with high fever, and signs suggestive of meningitis. On CSF microscopy, a gram-positive bacilli is seen. Organism is
1. S.pneumoniae
2. H.influenzae
3. Listeria
4. Mycoplasma

Correct answer: 3. Listeria

Explanation: Among the options only gram positve bacilli is Listeria.